Frieberg osteochondritis is INFLAMMATION of ?
1. 2nd metatarsal head
2. 2nd metatarsal base
3. 5th matatarsal head
4. 5th metatarsal base

Correct answer: 1. 2nd metatarsal head

Explanation: FREIBERG INFRACTION * Osteochondritis of the second metatarsal head. But may also involve 15t 3rd and 4th metatarsal heads * Usually occurs following trauma. * A misshapen metatarsal head frequently is an incidental radiographic finding, and careful questioning of the patient often reveals a period during adolescence when pain was noted in the forefoot. ref : maheswari 9th ed